Which of the following represents the half life of I123 ?
1. 3. 2 hours
2. 13.2 hours
3. 8 days
4. 10 days

Correct answer: 2. 13.2 hours

Explanation: Half life of radioisotope I 123 is 13.2 hours. Half life of I 124 is 4.2 days and that of I 131 is 8days.